Which is branching enzyme?
1. Glycogen synthetase
2. Glucose-6 phosphatase
3. Amylo-1, 4-1, 6-transglycolase
4. Glycozen Phosphorylase

Correct answer: 3. Amylo-1, 4-1, 6-transglycolase

Explanation: Glycogen synthesis (1) Glycogen synthase- rate limiting enzyme -alpha (1-4) (2) Branching enzyme -alpha (1-6) extend with alpha (1-4) Another name amylo (1-4) (1-6) transglycolase